Main cytokine involved in erythema nodosum leprosum reaction is
1. IL 2
2. Interferon gamma
3. Tumour necrosis factor alpha
4. Macrophage colony stimulating factor

Correct answer: 3. Tumour necrosis factor alpha

Explanation: Erythema nodosum leprosum rection is type II lepra rection .In this modules over skin are seen This is a type III hypersensitivity reaction . Main cytokine involve is TNF -alpha DOC - gluco-coicoids